Laryngocele arises as a herniation of laryngeal mucosa through the following membrance-
1. Thyrohyoid
2. Cricothyroid
3. Cricotracheal
4. Crisosternal

Correct answer: 1. Thyrohyoid